All of the following are common features of Cushing's syndrome, except?
1. Truncal obesity
2. Osteoporosis
3. Distal myopathy
4. Glucose intolerance

Correct answer: 3. Distal myopathy

Explanation: Cushing syndrome is characterized with proximal muscle weakness resulting in difficulty in climbing stairs. "Lemon on sticks" appearance results in centripetal obesity. The Weight gain leads to insulin resistance coupled with effects of cortisol leading to impaired glucose tolerance.